Damage to Auditory Cortex on one side causes:
1. Hearing loss and impaired tonal discrimination on the contralateral side
2. Hearing loss and impaired tonal discrimination on the ipsilateral side
3. No noticeable hearing loss or loss of tonal discrimination
4. Impaired localization of sound on the ipsilateral side

Correct answer: 3. No noticeable hearing loss or loss of tonal discrimination

Explanation: Unilateral destruction of primary auditory cortex does not cause hearing loss or impaired tonal discrimination because the pathways are bilateral. Cortical Auditory Areas: Auditory Cortex The primary auditory cortex of the human brain is located in the superior portion of the temporal lobe in lieschl's gyri'. These gyri are hidden within the sylvian fissure and are not visible on the convexity of the brain. In the cytoarchitectural map of human brain, primary auditory cortex corresponds to 'Broadman's area' 41 and 42 Unlike most other sensory systems, in which information from one side of the body projects solely to the contralateral hemisphere, the auditory system is organized so that there are both ipsilateral and contralateral projections from each ear to the brain. Therefore each auditory cortex (temporal lobe) receives auditory input from both ears. Auditory information received at right ear (or left ear) projects to both, the left and the right hemisphere.